In a 32yr old male presenting with the following blood chemistry Na+-> 135, K+^> 5.0, HC03 ^ 14.0, Cl ^ 116, P04~-> 5.0, SO;-> 5.0, Mg++-> 2.0, Ca++^> 8.0 the anion gap is :
1. 20
2. 15
3. 13
4. 10

Correct answer: 4. 10

Explanation: . 10